A young lady with symptoms of hyperthyroidism with elevated T4 and TSH levels. On examination, patient was not experiencing Tachycardia or excessive sweating.Further examination reveals bitemporal hemianopia. Next step of management
1. Start beta blockers immediately
2. Conservative management sufficient
3. Start antithyroid drugs and wait for symptoms to resolve.
4. Start antithyroid drugs and do urgent MRI

Correct answer: 4. Start antithyroid drugs and do urgent MRI

Explanation: Hyperthyroidism with elevated levels of T4 and TSH levels and bitemporal hemianopia is highly suggestive of TSH secreting adenoma. Urgent MRI should be done to confirm the diagnosis of TSH secreting pituitary adenoma along with antithyroid drugs. Thyrotropin-secreting pituitary tumors (TSH-omas) are a rare cause of hyperthyroidism and account for less than 1% of all pituitary adenomas. - Origin - anterior pituitary- MC cause of hyper pituitarism - Pituitary adenoma C/F Functional (Secreting) Non-Functional (Non-Secreting)Early Presentation due to physiologic Delayed presentation (Big enough toeffect cause neurological deficit) | Bitemporal Hemianopia Seen on 3rd / 4th Decade- M = F- MC type of pituitary adenoma is Prolactinoma IOC for diagnosis - MRIOther work-up done Full Endocrinologic ProfileFormal visual field testing TreatmentBromocriptine (Dopamine agonist) -Prolactinoma- Shrink prolactinoma in 6 to 8 weeks- Growth hormone security tumors - shrinkage occur < 20% Pts | Agent Octreotide | GH level in 70% Pts , | Tumor volume in 30% Indications of Sx in pituitary adenoma- GH Secreting tumors- Primarily Cushing Disease- Adenoma causing acute visual deterioration- Non-Prolactin secreting macroadenoma causing symptoms by mass effect Surgical ApproachIntranasal Trans-Sphenoidal , Sub labial Indications of Radiosurgery in pituitary adenoma- Used as primary therapy- Adjuvant therapy after subtotal resection- Recurrent disease